Following foetal death spontaneous labour will begin within two weeks in :
1. 25% of patients
2. 35% of patients
3. 50% of patients
4. 75% of patients

Correct answer: 4. 75% of patients

Explanation: 75% of patients